Most common congenital anomaly associated with face presentation is :
1. Anencephaly
2. Hydramnios
3. Microcephaly Hydrocephalus
4. Hydrocephalus

Correct answer: 1. Anencephaly

Explanation: Anencephaly